All are TNF-a antagonists used in rheumatoid arthritis except:
1. Ifosfamide
2. Infliximab
3. Etanercept
4. Adalimumab

Correct answer: 1. Ifosfamide

Explanation: TNF -ALPHA INHIBITORS 1.Etanercept: chimeric protein and neutralizes both TNF alpha and TNF beta. Can be used along with methotrexate in rheumatoid arthritis. Also used in ankylosing spondylosis, juvenile arthritis, and plaque psoriasis 2.Infliximab: Monoclonal antibody against TNF alpha.used in refractory rheumatoid arthritis, Crohn's disease, ulcerative colitis, and psoriasis. 3.Adalimumab:fully human recombinant antibody anti TNF alpha. It is less antigenic.use same as infliximab ESSENTIAL OF MEDICAL PHARMACOLOGY: SEVENTH EDITION, KD TRIPATHI, Page 883,884